Epidural anaesthesia can cause all of the following, EXCEPT:
1. Hypotension
2. Nausea
3. Bladder distension
4. Hyperpnoea

Correct answer: 4. Hyperpnoea

Explanation: During injection of local anesthetic into a dural tear will result in a high block, manifesting as unconsciousness, severe hypotension, and respiratory paralysis requiring (causing hypopnoea). Accidental dural puncture more often results in a severe headache. A common complication of epidural anesthesia is prolonged blockade of parasympathetic fibers that innervate the bladder with resultant urinary retention. Nausea & vomiting, total spinal analgesia, prolonged analgesia are other common complications. Ref: Dorian R.S. (2010). Chapter 47. Anesthesia of the Surgical Patient. In F.C. Brunicardi, D.K. Andersen, T.R. Billiar, D.L. Dunn, J.G. Hunter, J.B. Matthews, R.E. Pollock (Eds), Schwartz's Principles of Surgery, 9e.